Most common variant of Lymphoma seen in HIV E Patients is:
1. Immunoblastic Lymphoma
2. Burkitt's Lymphoma
3. Primary CNS Lymphoma
4. Mantle Cell Lymphoma

Correct answer: 1. Immunoblastic Lymphoma

Explanation: Answer is A (Immunoblastic Lymphoma) The most common lymphomas seen in HIV Patients are Immunoblastic Lymphomas. Majority of these are Diffuse Large B Cell Lymphomas (DLBLS).